Amitryptyline is a
1. Antibiotic
2. Sedative
3. Tricyclic antidepressant
4. Diuretic

Correct answer: 3. Tricyclic antidepressant